Rh-isoimmunization in pregnancy can cause all except :
1. Antepartum hemorrhage
2. Postpartum hemorrhage
3. Pregnancy induced hypertension
4. Oligohydramnios

Correct answer: 4. Oligohydramnios

Explanation: Oligohydramnios